All of the following effects are produced by mu opioid receptor except ?
1. Tachycardia
2. Miosis
3. Sedation
4. Euphoria

Correct answer: 1. Tachycardia

Explanation: Effects of Mu opioid receptor activation results in S- Sedation A- Analgesia C- Constipation R- Respiratory depression U- eUphoria M- Miosis